Which of the following organs is the most common site of origin of the tumour associated with the Zollinger-Ellison syndrome -
1. Duodenum
2. Lymph nodes
3. Spleen
4. Pancreas

Correct answer: 1. Duodenum

Explanation: Ans. is 'a' i.e., Duodenum